Which of the following drugs is most likely to cause hypoglycemia when used as a monotherapy in the treatment of type 2 diabetes?
1. Acarbose
2. Glipizide
3. Metformin
4. Rosiglitazone

Correct answer: 2. Glipizide

Explanation: (Ref: KDT 6/e p266, 267) hypoglycemia is caused by the drugs that cause release of insulin. Two group of such drugs are sulfonylureas (like chlorpropamide, glipizide etc) and meglitinides (e.g. Repaglinide)